Characteristic feature of hypertrophic obstructive cardiomyopathy is:
1. Asymmetric septal hypertrophy of septum
2. Increased size of atria
3. Increased size of ventricle
4. Normal myofiber arrangement

Correct answer: 1. Asymmetric septal hypertrophy of septum

Explanation: Characteristic feature of hypertrophic obstructive cardiomyopathy is= Asymmetric septal hypertrophy of septum.